Pseudohermaphroditism in a female child is most commonly due to -
1. 21 α hydroxylase deficiency
2. 17 α hydroxylase deficiency
3. 11 β hydroxylase deficiency
4. 3 β Hydroxysteroid dehydrogenase deficiency

Correct answer: 1. 21 α hydroxylase deficiency

Explanation: Classic 21 α hydroxylase deficiency is the most common cause of Ambiguous genitalia in a new born.

Pseudo hermaphroditism

A congenital abnormality of the external genitalia and of the body in which one possesses sex glands of one sex but genitals of the opposite sex.